Which of the following will not cause pupillary white reflex?
1. Retinoblastoma
2. Glaucoma
3. Cataract
4. Retrolental fibroplasia

Correct answer: 2. Glaucoma

Explanation: Glaucoma is not a cause of white pupillary reflex (cat's eye reflex). The patient should be evaluated immediately as an important differential diagnosis is retinoblastoma. Ref: A.K KHURANA (2005), In the book, "Opthalmology", 3rd Edition, Newdelhi, Page 23, 170, 269